Which of the following statements is true regarding pertussis -
1. Neurological complication rate of DPT is I in 50000
2. Vaccine efficacy is more than 95%
3. Erythromycin prevents spread of disease between children
4. The degree of polymorphonuclear Leukocytosis correlates with the severity of cough

Correct answer: 3. Erythromycin prevents spread of disease between children

Explanation: Erythromycin prevents spread of disease between children leucocytosis does not correlates with the severity of cough. Drug of choice : Erythromycin (40mg/kg QID for 10 days) Vaccine:DPT Drug of choice for cases and contacts:Erythromycin for 10 days. Reference:Park's textbook of preventive and social medicine,K.Park,23rd edition,page no:163-65.